Contraceptive effect of CuT-380A lasts for how many years?
1. 5
2. 10
3. 15
4. 20

Correct answer: 2. 10

Explanation: Ans. (b) 10 yearsShaw 15ih227-8Name of deviceEffective period* CuT 380A10 years* Nova T-Silver5 years* Multiload3755 years* Multiload2503 years